Giant cells seen in Measles are called?
1. Hp bodies
2. Inclusion containing polykaryon
3. Koplik cells
4. Warthin-Finkeldey cells

Correct answer: 4. Warthin-Finkeldey cells

Explanation: Lymphoid organs typically have marked follicular hyperplasia, large germinal centers and randomly distributed multinucleated giant cells called Warthin-Finkeldey cells, which have eosinophilic nuclear and cytoplasmic inclusion bodies.Found in the paracortical region of hyperplastic lymph nodes in some patients of measles and AIDS. It consists of fused lymphocytes and can be seen in a lymph node biopsy after a measles vaccination.Ref: Robbins Pathology, 7th Ed, page 363